Silver sulphadiazine cream is used in burn wounds because
1. It has soothing effect
2. Covers pseudomonas
3. Covers MRSA
4. Covers both Pseudomonas and MRSA

Correct answer: 4. Covers both Pseudomonas and MRSA

Explanation: Silver sulphadiazine cream (1 percent) gives broadspectrum prophylaxis against bacterial colonisation and is particularly effective against Pseudomonas aeruginosa and also methicillin-resistant Staphylococcus aureus. Options for burns dressing include1% silver sulphadiazine cream0.5% silver nitrate solutionMafenide acetate creamSerum nitrate, silver sulphadiazine and cerium nitrateBailey and Love 26e pg: 393